Which among the following is the most common thyroid cancer?
1. Papillary
2. Medullary
3. Follicular
4. Anaplatic

Correct answer: 1. Papillary

Explanation: Ans: a (Papillary Ca) Ref: Robbins, 7th ed, p. 1178Papillary Ca is the most common malignancy accounting for 80-90% of all cases followed by follicular Ca. thyroid. (10%).Remember the following facts about thyroid malignancies, they are extremely helpful...* Most common malignancy of endocrine system- Thyroid Ca* Most common malignancy thyroid-Papillary Ca* Most malignant- Anaplastic Ca* Least malignant- Papillary Ca* MC thyroid Ca after irradiation(Latent period = 30 yrs)- Papillary Ca* MC thyroid Ca in long standing MNG- Follicular Ca* Psammoma bodies seen in...- Papillary Ca* Orphan Annie nucleus seen in....- Papillary Ca* Thyroid Ca a/w dystrophic calcification-Papillary Ca* Thyroid Ca a/w amyloidosis- Medullary Ca* Thyroid Ca derived from 'c' cells- Medullary Ca* Thyroid Ca a/w MEN syndrome- Medullary Ca* Tumour marker for medullary Ca- Calcitonin* Tumour marker for papillary Ca-Thyroglobulin